Not a cell adhesion molecule:
1. Integrin
2. Selectin
3. Cadherin
4. Spectrin

Correct answer: 4. Spectrin

Explanation: Major cell adhesion molecules (CAMs) Name Examples Cadherins Cell- cell junctions such as adherens junctions and desmosomes. calcium- dependent Integrins Primarily found in cell - matrix junctions. These also function in cell signaling. Immunoglobulin superfamily CAMs NCAMs (nerve-cell adhesion molecules). Responsible for nerve cell growth during nervous system development. Selectins Temporary cell-cell adhesion. Spectrin is a protein that make up the membrane structure of the cell and play a role in maintaining plasma membrane integrity and cytoskeletal structure.